Mucocele is commonly seen in the following paranasal sinuses:
1. Frontal
2. Maxillary
3. Ethmoid
4. Sphenoid

Correct answer: 1. Frontal

Explanation: The sinuses commonly affected by mucocele in the order of frequency, are the frontal, ethmoidal, maxillary and sphenoidal. Mucocele of the frontal sinus is usually presents in the superomedial quadrant of the orbit (90%). The swelling is cystic and non-tender. Radiographs of the frontal sinus usually reveal clouding of the sinus with loss of scalloped outline which is so typical of the normal frontal sinus. Treatment is frontoethmoidectomy with free drainage of frontal sinus into the middle meatus.